Which of the following intravenous anesthetic agents causes highest incidence of nausea & vomiting:
1. Thiopentone
2. Propofol
3. Etomidate
4. Ketamine

Correct answer: 3. Etomidate

Explanation: Etomidate can be used in the treatment of endogenous hypercortisolemia. This is due to its ability to inhibit the enzyme 11b-hydroxylase, which results in decreased biosynthesis of cortisol. Etomidate has the highest incidence of postoperative nausea and vomiting. Etomidate can be safely used in neurosurgical procedures. It is also the anesthetic induction agent of choice to reduce increased ICP when maintenance of cerebral or coronary perfusion pressure is important. Etomidate is the most cardiac stable induction agent and is the agent of choice in coronary artery disease, cardiomyopathy and cerebral vascular disease.